A case of obstructed labor which was delivered by Cesarean section complains of cyclical passage of menstrual blood in urine. Which is the most likely site of fistula:
1. Uretherovaginal
2. Vesico-vaginal
3. Vesico-uterine
4. Uretero-uterine

Correct answer: 3. Vesico-uterine